DOC for Chlamydia trachomatis in pregnancy?
1. Amoxicillin
2. Metronidazole
3. Cephazolin
4. Clindamycin

Correct answer: 1. Amoxicillin

Explanation: Chlamydial infections during pregnancyThe first line of treatment is erythromycin base 500mg orally, four times a day for 7 days, or amoxicillin 500mg orally three times a day for 7days.Azithromycin is an alternative; it is safe in pregnancy.Ref: Mudaliar and Menon's Clinical Obstetrics, 11th edition, pg no: 253